Cross product ratio is used in:-
1. Cross- sectional study
2. Case control study
3. Cohort study
4. Ecological study

Correct answer: 2. Case control study

Explanation: Framework of a case control study (The 2 x 2 contigency table) Suspected or risk factors Cases (Disease present) Control (Disease absent) Present Absent ac bd a+c b+d Cross product ratio is another name for Odds ratio. It used to calculate strength of association between risk factor and outcome in case of case control studies. Odds Ratio (OR) = (a x d)/(b x c) Since it involves cross multiplying the values in the 2x2 Contingency table, it is called cross product ratio In cohort study , Relative Risk (or Risk Ratio) is determined Cross sectional studies deal with determining prevalence of disease Ecological study is used to determine correlation